White polished rice causes deficiency of -
1. Thiamine
2. Tryptophan
3. Riboflavin
4. Protein

Correct answer: 1. Thiamine

Explanation: Ans. is 'a > c > d' i.e., Thiamine > Riboflavin > Protein o Rice is the most common staple food. Rice proteins are richer in lysine than other cereal proteins, and for this reason, rice protein is considered to be a better quality. Rice contains 6.8 gm of protein per 100 gm.o Milling process deprives rice grain of its nutritive elements, especially thiamine (75%), riboflavin (60%) and protein (15%). People subsisting mainly on white or polished rice are prone to beri-beri, the best known deficiency disease in rice eaters. To avoid this parboiling is recommendedo Parboiling (partial cooking in steam) is technique of preserving the nutritive value of rice. In parboiling, greater parts of vitamins and minerals present in outer layer of the rice grain are driven into the deepar layers. With subsequent milling the nutrient are not removed.o Genetically engineered 'Golden rice' is rich in b-Carotene and iron.